Drug which lacks intrinsic activity against anaerobes is:-
1. Aminoglycosides
2. Beta lactams
3. Chloramphenicol
4. Metronidazole

Correct answer: 1. Aminoglycosides

Explanation: Drug not effective Infection Vancomycin Peudomonas Aminoglycosides Anaerobic infection Aminoglycosides Enteric fever Beta lactams MRSA